A Carrier of Neisseria Meningiditis can be detected by
1. CSF - PCR
2. CSF - Culture
3. Blood culture
4. Nasopharynegeal swab culture

Correct answer: 4. Nasopharynegeal swab culture

Explanation: Specimen for cases - Blood and CSF
Specimen for carriers - Nasopharyngeal swab.